Triad of pelvic lipomatosis includes all except?
1. Pelvic radiolucency
2. Elevation of an intact recto sigmoid
3. Pear shaped bladder
4. Thickening of colon

Correct answer: 4. Thickening of colon

Explanation: Ans DPlain film examinations reveal an unusual radiolucencv in the pelvis which allows visualization of the muscular planes and better definition of the bony detail of the sacrum. The appearance of the opacified rectum and urinary bladder are characteristic. The rectum is narrowed, stretched and elongated. The sigmoid is elevated. The deformity is concentric and fixes the rectum and rectosigmoid in the midline. The urinary bladder is also elongated in its vertical dimension and resembles that of a pear or an inverted teardrop with its narrow end at the base. Emptying of the urinary bladder and rectum are normal and their mucosal patterns are normal.